All arc atypical antipsychotic drugs except
1. Clozapine
2. Risperidone
3. Olanzapine
4. Loxapine

Correct answer: 4. Loxapine

Explanation: Atypical antipsychotic Clozapine Risperidone Olanzapine Quetiapine Aripiprazole Ziprasidone Other hetrocyclics Pimozide, Loxapine Ref: K D Tripathi 8th edition